MC joint involved in Gout:
1. Knee
2. Hip
3. MP joint of the big toe
4. MP joint of thumb.

Correct answer: 3. MP joint of the big toe

Explanation: Ans. is 'c' i.e. Metacarpophalangeal joint of the big toe * Septic arthritis*-knee* Syphilitic arthritis*-knee* Gonococcal arthritis*-knee* Gout*-MP joint of big toe* Pseudogout*-knee* Rheumatoid arthritis*-metacarpophalangeal joint* Ankylosing spondylitis*-sacro iliac joint* Osteoarthritis*-hip joint (Western living habit), knee joint (Asian living habit)* Diabetic Charcot joint*-Foot joint (tarsals)* Senile osteoporosis*-Vertebra* Paget's disease*-Pelvic bones > Femur > Skull > Tibia* Osteochondritis desiccans*-Knee* Actinomycosis*-Mandible* Hemophilic arthritis*-KneeDisc prolapse*-between L4 & L5Acute Osteomyelitis*-Lower end of femur (Metaphysis)Brodie's Abcess*-Upper end of Tibia